Tennis racket cells is seen in -
1. Sarcoma botyroides
2. Vaginal adenocarcinoma
3. Leiomyoma uterus
4. Seminoma

Correct answer: 1. Sarcoma botyroides

Explanation: o Tumor cells of sarcoma botryoids are small and have oval nuclei, with small protrusions of cytoplasm from one end, so they resemble a tennis racket. REF: ROBBINS pathology 10th edition